Following nerve injury, the injured nerve regenerates at a rate of:
1. 0.001 cm/day
2. 0.1 cm/day
3. 1 cm/day
4. 0.0001 cm/day

Correct answer: 2. 0.1 cm/day

Explanation: Rate of Recovery of Nerve is 1 mm/day